All of the following statement are true regarding centriacinar emphysema, except:
1. Most common type of emphysema
2. Respiratory bronchiole are affected and distal alveoli are spared
3. Common and more severe in lower lobes
4. Associated with smoking

Correct answer: 3. Common and more severe in lower lobes

Explanation: Centri-acinar Emphysema C's Commonest type of emphysema Central portion of acinus involved. Cigarette smoking It is common and more severe in UPPER lobe